NFHS 1 was conducted in the year:
1. 1990-91
2. 1992-93
3. 1994-95
4. 1995-96

Correct answer: 2. 1992-93

Explanation: FHS 1 was conducted in1992-93. It provided information on fertility, family planning, mortality, utilisation of maternal and child care services, nutritional status of children and social and demographic characteristics of households. REF: National Health Programmes in India, J.Kishore, 10th edition pg: 21